Most pathognomonic sign of irreversible cell injury:
1. Amorphous densities in mitochondria
2. Swelling of the cell membrane
3. Ribosomes detached from endoplasmic reticulum
4. Clumping of nuclear chromatin

Correct answer: 1. Amorphous densities in mitochondria

Explanation: . Amorphous densities in mitochondria